Merciful anosmia is seen in ?
1. Nasal polyp
2. Atrophic rhinitis
3. Rhinosporidiosis
4. Rhinoscleroma

Correct answer: 2. Atrophic rhinitis

Explanation: Ans. is `b' i.e., Atrophic rhinitis Clinical features of atrophic rhinitis The disease is mostly seen in females and tends to appear during puberity. The disease is always bilateral except in case of DNS where it is seen on the wider side. There is foul smell from the nose making the patient a social outcast though patient himself is unaware of the smell due to marked anosmia (merciful anosmia). Patient complains of nasal obstruction inspite of unduly wide nasal chambers. This is due to large crusts filling the nose. Epistaxis may occur when the crusts are removed. Crusting may occur in the larynx and cause hoarseness. Apart from nose, other sites may also be involved. Pharynx -Atrophic pharyngitis may be seen Larynx - Atrophic laryngitis may be seen which can lead to cough and hoarseness of voice. Ear - Obstruction of eustachian tube can cause serous otitis media PNS - Small/under developed and have thick walls. They appear opaque on X-ray.